Malaria in pregnancy doesn't cause?
1. HELLP
2. IUGR
3. IUD
4. Preterm

Correct answer: 1. HELLP

Explanation: Ans. is'a'i.e., HELLP Effect of malaria on pregnancy:IUGRAboionIUDPretermLow birthweight